Treatment of carcinoma cervix stage III B is :
1. Radiotherapy
2. Chemotherapy
3. Surgery
4. Radiotherapy and chemotherapy

Correct answer: 4. Radiotherapy and chemotherapy

Explanation: Radiotherapy and chemotherapy